Which of the following drugs is preferred for long term treatment of severe anxiety disorder with intermittent panic attacks ?
1. Phenothiazine
2. Azapirone
3. β blocker
4. Selective serotonin reuptake inhibitor

Correct answer: 4. Selective serotonin reuptake inhibitor